Which one of the following was launched the earliest chronologically:
1. NRHM
2. NUHM
3. MDG
4. 20 points programme

Correct answer: 4. 20 points programme

Explanation: Launched in 20 point programme 1986 NRHM 2005 NUHM 2008 MDG 2000 Ref: Textbook of community medicine, S. Lal, 3rd edition pg: 644.